The main diagnostic test for hereditary spherocytosis is:
1. Osmotic fragility
2. Bone marrow study
3. Hemoglobin electrophoresis
4. Mutation study

Correct answer: 1. Osmotic fragility

Explanation: The presence of osmotic fragility is the main diagnostic test for hereditary spherocytosis. Ref: Harrisons principles of internal medicine, 18th edition, Page 875.